The recommended oral dose of vitamin A to be given in a 10 months child with deficiency on each of day 1, 2 and 28 is:
1. 50,000 IU
2. 1,00,000 IU
3. 2,00,000 IU
4. 6,00,000 IU

Correct answer: 2. 1,00,000 IU

Explanation: b. 1,00,000IU(Ref: Nelson's 20/e p 318-320, Ghai 8/e p 111-112)Dose of oral vitamin A for the treatment of Vitamin A deficiency consists of:Age< 6 months6-12 months> 1yearDose of vitamin A50,000IU1,00,000IU2,00,000IU